Onion peel appearance cataract is seen in which of the following types?
1. Posterior subcapsular cataract
2. Anterior subcapsular cataract
3. Posterior polar cataract
4. Anterior polar cataract

Correct answer: 3. Posterior polar cataract

Explanation: Posterior polar cataract Caused by persistence of the hyaloids artery. Strong adherence of the opacity to the weak posterior capsule Can be stationary as well as progressive type 1) Stationary-well circumscribed circular opacity localized on the central posterior capsule. Concentric thickened rings around the central plaque opaciy are seen (Bull's eye. onion peel appearance). 2) Progressive type-whitish opacification in the posterior cortex (radiating rider opacity). Feather and scalloped appearance is seen. (Ref: researchgate.net)